Total iron requirement during pregnancy:
1. 500mg
2. 1000mg
3. 1500mg
4. 2000mg

Correct answer: 2. 1000mg

Explanation: Iron intake per day in Non-Pregnant woman is 21mg/day
Iron required per day in Non-pregnant woman is 1.6mg/day
Iron intake per day in Pregnant woman is 35mg/day
Iron requirement per day in pregnant woman is 2.8mg/day
Total iron requirement in pregnancy is 1000mg